A 33-year-old male patient complains of feeling severe pain when he tries to turn his neck. The physician realizes that the problem is in his pivot (trochoid) joint. Which of the following joints would most likely be examined?
1. Atlantooccipital joint
2. Atlantoaxial joint
3. Carpometacarpal joint
4. Proximal tibiofibular joint

Correct answer: 2. Atlantoaxial joint

Explanation: The atlantoaxial joint is the pivot or trochoid joint. The atlantooccipital joints are the condyloid (ellipsoidal) joints, The carpometacarpal joint of the thumb is the saddle (sellar) joint, The proximal tibiofibular joint is the plane (gliding) joint.